Fungi are
1. Prokaryotes
2. Eukaryotes
3. Plants
4. Animals

Correct answer: 2. Eukaryotes

Explanation: Fungi possess a rigid cell wall and a cytoplasmic membrane containing sterols. * Contain true nuclei with nuclear membrane and paired chromosome. * Multiply by asexual, sexual or both * Unicellular or multicellular Reference: Textbook of Microbiology; Anathanarayan and paniker's; 9th edition